Test for detecting argemone oil Contamination does not include-
1. Nitric acid test
2. Paper chromatography test
3. Aldehyde test
4. None

Correct answer: 3. Aldehyde test

Explanation: Epidemic dropsy:- Toxic alkaloid, sanguinarine from argemone oil, which interferes with oxidation of pyruvic acid which accumulates in blood. Symptoms- sudden non inflammatory, bilateral swelling of legs, often with diarrhoea. Dyspnoea , cardiac failure and death may follow. Some may develop glaucoma. The contamination of mustard or other oils with argemone oils may be accidental or deliberate. Tests to detect argemone oil: 1. Nitric acid test. 2. Paper chromatography test. The accidental contamination of mustard seeds can be prevented at the source by removing the argemone weeds growing among oil seed crops. Unscrupulous dealers may be dealt with by strict enforcement of the Prevention of Food Adulteration Act. {Reference: Park's textbook of community medicine 23 rd edition, pg no. 658}